Post TURP altered sensorium cause
1. Hypernatremia
2. Hypokalemia
3. Hyponatremia
4. Hypomagnesemia

Correct answer: 3. Hyponatremia

Explanation: Water intoxication Absorption of water into the circulation at the time of trans urethral resection can give rise to congestive cardiac failure, hyponatraemia and haemolysis. Accompanying this, there is frequently confusion and other cerebral events often mimicking a stroke. The incidence of this condition has been reduced since the introduction of isotonic glycine for irrigating during resection, and further still with the development of bipolar TURP where saline is used as an irrigant. The treatment con-sists of fluid restriction. Ref: Bailey and love 27th edition Pgno : 1467